In hypoglycemia, which hormone does not increase
1. Insulin
2. Cortisol
3. Glucagon
4. Epinephrine

Correct answer: 1. Insulin

Explanation: Insulin- a protein hormone formed from proinsulin in the beta cells of the pancreatic islets of Langerhans. The major fuel-regulating hormone, it is secreted into the blood in response to a rise in concentration of blood glucose or amino acids. Insulin promotes the storage of glucose and the uptake of amino acids, increases protein and lipid synthesis, and inhibits lipolysis and gluconeogenesis.Ref: Ganong's review of medical physiology: 24th edition page no: 431